Speech discrimination score, lowest in
1. Conductive deafness
2. Sensori neural deafness
3. Cortical deafness
4. Acoustic neuroma

Correct answer: 4. Acoustic neuroma

Explanation: D. i.e. (Acoustic neuroma) (137 - Maqbool)SPEECH DISCRIMINATION SCORE (speech recognition or word recognition score) - tested at 30 to 40 dB, SLUSES1. It determines the extent of discrimination difficulty2. It aids in the diagnosis of the site of pathology in the auditory system eg poor in acoustic neuroma. The normal in conductive deafness3. It assists in rehabilitative measures like the fitting of a hearing aid***Hitzelberg sign seen in Acoustic neuromaVOCAL INDEX - is the relationship between hearing loss for speech and whispered voice* Small in conductive deafness and high in perceptive deafness* Laryngeal pseudosulcus is seen in - Laryngophrayngeal reflux**